For diagnosis of TB under RNTCP guidelines, minimum number of sputum specimens taken
1. 1
2. 2
3. 4
4. 3

Correct answer: 2. 2